Deficiency of which trace element causes perioral rash, gonadal atrophy, neuritis and pigmentation in skin creases -
1. Cobalt
2. Zinc
3. Magnesium
4. Selenium

Correct answer: 2. Zinc

Explanation: Ans. is 'b' i.e., Zinc Symptoms of Zinc deficiencyo Growth retardationo Decrease in taste and smell sensationo Alopeciao Diarrhoeao Immunological dysfunctiono Failure to thriveo Gonadal atrophyo Impaired spermatogenesiso Congenital malformationAlso knowAcrodermatitis enteropathica -o It is an autosomal recessive disorder.o Zinc deficiency occurs in it because of abnormality in Zinc absorption.o Rashes are seen in extremities, face and perineum.o The rash is characterized by vesicular and pustular crusting with scaling and erythema.Other features seen in this disease are -o Diarrhoeao Alopeciao Muscle wastingo Depressiono Hypopigmentationo Corneal edema